Punishment for voluntarily causing grievous injury comes under which section of IPC -
1. 325
2. 320
3. 326
4. 324

Correct answer: 1. 325

Explanation: Ans. is 'A' i.e., 325 Grievous injury: 320IPC. It includes Emasculation Permanent privation of sight of either eye Permanent privation of hearing of either ear Privation of any member or joint Destruction or permanent impairing of the power of any member or joint Permanent disfiguration of the head or face Fracture or dislocation of bone or tooth Any hurt which endangers life, or which causes victim to be in severe bodily pain or unable to follow his ordinary pursuits for a period of 20 days. Dangerous injuries: are those which cause imminent danger to life, either by involvement of important organs or structures or extensive area of body. The injury is fatal in absence of surgical aid.eg gunshot, spleen rupture, o Section 325 IPC- punishment for voluntarily causing grievous injury.